In the physiologic system, nitric oxide is known to act through
1. Cyclic AMP
2. Calcium ions
3. Cyclic GMP
4. Prostacyclins

Correct answer: 3. Cyclic GMP